Grommet tube is used in:
1. Secretory otitis media
2. Mucoid otitis media
3. Serous otitis media
4. All of the above

Correct answer: 4. All of the above

Explanation: Myringotomy is coupled with grommet tube insertion in: Serous otitis media (also k/a mucoid otitis media/glue ear) Adhesive otitis media Recurrent acute otitis media Meniere's disease